Drug of choice in PSVT is-
1. Amaidarone
2. Lingnocaine
3. Quinidine
4. Adenosine

Correct answer: 4. Adenosine

Explanation: adenosine is the drug of choice in PSVT .verapamil is the next drug of choice Adenosine blocks AV node there by blocking reentry pathway Ref Harrison 20th edition pg 1445